Pen test is done for elliciting which nerve injury -
1. Median nerve
2. Ulnar nerve
3. Radial nerve
4. Axillary nerve

Correct answer: 1. Median nerve

Explanation: Pen test is used to test abductor pollicis brevis * supply by median nerve * action - abduction of the thumb * pen test - the patient is asked to lay his hand flat on the table with palm facing the ceiling .A pen is held above the thumb & the patient is asked to touch the pen with tip of the thumb .It will not possible in case of median nerve injury . REF:Essential orthopedics ,Maheshwari, 5th edition ,pg.no.66